Which of the following cause apoptotic damage to sperms?
1. Treponema pallidum
2. Chlamydia
3. Clostridium
4. Hemophilus ducreyi

Correct answer: 2. Chlamydia

Explanation: Apoptotic damage to sperms 

E.coli
Staphylococcus
Chlamydia
Mycoplasma genitalium